A funguicidal drug that can be used orally for the treatment of onychomycosis is
1. Griseofulvin
2. Amphotericin B
3. Clotrimazole
4. Terbinafine

Correct answer: 4. Terbinafine

Explanation: Ref-KDT 6/e 765 Fungicidal drugs are amphotericin B and terbinafine.out of these, amphotericin B cannot be given orally.thus,the and is terbinafine.